An 18 years old boy presents with digital gangrene in third and fourth finger for last 2 weeks. On examination the blood pressure is 170/110 mm of Hg and all peripheral pulses were palpable. Blood and urine examinations were unremarkable. Antinuclear antibodies, Antibody to double standard DNA and antineutrophil cytoplasmic antibody were negative. The most likely diagnosis is
1. Wegner's granulomatosis
2. Polyaerltis nodosa
3. Takayasu's arteritis
4. Systemic lupus erythematosis (SLE)

Correct answer: 2. Polyaerltis nodosa

Explanation: The probable diagnosis is Polyarteritis nodosa Polyarteritis nodosa has a peak incidence between the ages of 40 and 50, with a male-to-female ratio of 2 : 1. The annual incidence is about 2/1 000 000. Hepatitis B is an important risk factor and the incidence is 10 times higher in the Inuit of Alaska, in whom hepatitis B infection is endemic. Presentation is with fever, myalgia, arthralgia and weight loss, in combination with manifestations of multisystem disease. The most common skin lesions are palpable purpura , ulceration, infarction and livedo reticularis . Pathological changes comprise necrotising inflammation and vessel occlusion, and in 70% of patients arteritis of the vasa nervorum leads to neuropathy, which is typically symmetrical and affects both sensory and motor function. Severe hypertension and/or renal impairment may occur due to multiple renal infarctions but glomerulonephritis is rare (in contrast to microscopic polyangiitis). The diagnosis is confirmed by conventional or magnetic resonance angiography, which shows multiple aneurysms and smooth narrowing of mesenteric, hepatic or renal systems, or by muscle or sural nerve biopsy, which reveals the histological changes described above. Treatment is with high-dose glucocorticoids and immunosuppressants, as described for ANCA-associated vasculitis . Ref - Davidsons 23e p1042